Visual analogue scale  most widely used to measure
1. Sleep
2. Sedation
3. Depth of anaesthesia
4. Pain intensity

Correct answer: 4. Pain intensity